False regarding erythema infectiosum is -
1. Caused by HHV6
2. Marked erythema of the cheeks or slapped cheek appearance often with relative circum-oral pallor
3. Infection during pregnancy can result in hydrops fetalis due to fetal anemia
4. Arthritis is a complication

Correct answer: 1. Caused by HHV6

Explanation: Ans. is 'a' i.e., Caused by HHV6 o Erythema infectiosum is caused by parvoviurs.Parvoviruso Non-enveloped DNA (ss DNA) viruses,o Only DNA virus which has single stranded DNA.o Smallest viruso Has smallest genomeo Only one medically important human parvovirus - Parvovirus B19o Transmission is by respiratory route and through blood,o Infection is commonly acquired in childhood (5-10 yrs).o Most of the infections are asymptomatic.o Most common presentation is respiratory infection with an erythematous maculopapular rash and arthralgia - Erythema infectiosum or Fifth disease.o Starts with prominant erythema of cheeks - slapped cheek disease.o Parvovirus B-19 induces aplastic crisis in children with chronic hemolytic anemias, as in sickle cell disease.o Parvovirus B-19 infection during second or third trimester of pregnancy may result in nonimmune fetal hydrops.